Pemberton’s sign is elicited
1. Swallowing
2. Raising of arms
3. Extrusion of tongue
4. Extension of neck

Correct answer: 2. Raising of arms

Explanation: It is used for or large retrosternal goitres.